Colour of oxygen cylinder is –
1. Grey
2. Blue
3. Black with white shoulder
4. Orange

Correct answer: 3. Black with white shoulder

Explanation: Oxygen cylinder has black body with white shoulder.